Which of the following best characterizes the pulmonary circulation?
1. Flow - Low, Pressure - High, Resistance - Low, Compliance - High
2. Flow - High, Pressure - Low, Resistance - High, Compliance - Low
3. Flow - Low, Pressure - Low, Resistance - Low, Compliance - High
4. Flow - High, Pressure - Low, Resistance - Low, Compliance - High

Correct answer: 4. Flow - High, Pressure - Low, Resistance - Low, Compliance - High

Explanation: Ans. D. Flow - High, Pressure - Low, Resistance - Low, Compliance - HighThe pulmonary circulation is a high flow, low-pressure, low-resistance, and high-compliance system.